Regarding Placenta praevia, false statement among the following is -
1. Presents commonly in the 3rd trimester
2. Painful vaginal bleeding
3. Usg is the investigation of choice
4. Increased maternal age is a risk factor

Correct answer: 2. Painful vaginal bleeding